The concept which views health as 'absence from disease' is called
1. Biomedical concept
2. Ecological concept
3. Psychosocial concept
4. Holistic concept

Correct answer: 1. Biomedical concept